Staining done for sebaceous cell carcinoma -
1. Oil Red O
2. PAS
3. Methamine silver
4. KOH

Correct answer: 1. Oil Red O

Explanation: . Oil Red O